Grievous hurt include the following except
1. Emasculation
2. Permanent privation of hearing
3. Privation of any member/joint
4. Disability to follow one's ordinary pursuits for a period of a week

Correct answer: 4. Disability to follow one's ordinary pursuits for a period of a week

Explanation: Ans. is 'd' i.e., Disability to follow one's ordinary pursuits for a period of a week Grievous injuries are :? Emasculation (cutting of the penis, castration; or causing loss of power of erection due to spinal injury). Permanent privation of the sight of either eye. Permanent privation of the hearing of either ear. Privation of any member (part, organ, limb) or joint. Destruction or permanent impairing of powers of any member or joint. Permanent disfiguration of head or face. Fracture or dislocation of a bone or a tooth. Any hurt which endangerous life or which causes the sufferer to be, during the space of twenty days in severe bodily pain, or unable to follow his daily routine.